Which of the following muscle is not supplied by Recurrent Laryngeal nerve:
1. Posterior cricoarytenoid
2. Thyroarytenoid
3. Lateral cricoarytenoid
4. Cricothyroid

Correct answer: 4. Cricothyroid

Explanation: Ans: D (Cricothyroid) Nerve Supply of LarynxMotorAll the muscle which move the vocal cords (Abductor0- posterior cricoarytenoid; adductorQ-Lateral cricoarytenoid, Interarytenoid & thyroarytenoid: tensorQ-Cricothyroid, vocalis) are supplied by Recurrent Laryngeal nerve1'except the cricothyroid muscle. The latter receive its innervation from External Laryngeal nerveQ - a branch of superior Laryngeal nerveSensoryAbove vocal cords - Internal Laryngeal nerve, a branch of Superior Laryngeal nerve'3Below vocal cords - Recurrent Laryngeal nerveQRT Recurrent Lary ngeal Nerve - It arise from the vagusQ at level of subclavian artery, hooks around it & then ascends b/w the trachea & oesophagus.LT Recurrent Laryngeal Nerve - It arises from the vagusQ in the mediastinum at the level of arch of aorta, loops around it & then ascends into the neck in the tracheo-oesophageal groove. Thus, LTRLN has a much longer courseQ which makes it more prone to paralysis as compared to the right one.